Which of the following reflexes test the integrity of nucleus ambiguus
1. Jaw jerk
2. Stapedial reflex
3. Gag reflex
4. Corneal reflex

Correct answer: 3. Gag reflex

Explanation: Nucleus ambiguus involves cranial nerves 9th, 10th & 11th . It involves the nerve supply to soft palate , larynx & pharynx which is involved in speech & swallowing. Gag reflex: Contraction of the constrictor muscle of the pharynx elicited by touching the back of the pharynx.